The artery to the ductus dererens is a branch of:
1. Inferior epigastric artery
2. Superior epigastric artery
3. Superior vesical artery
4. Cremasteric artery

Correct answer: 3. Superior vesical artery

Explanation: The ductus deferens recieves its blood supply from the artery to ductus deferens which usually arises from the superior vesical artery. Occasionally it may arise from the inferior vesical artery. Ref: Elements of Anatomy : In 3 volumes, Volume 3 By Jones Quain, Page 383; Elements of anatomy By Jones Quain, Page 573; Color Atlas of Human Anatomy: Internal Organs, Volume 2 By Helga Fritsch, Wolfgang Kuhnel, Page 256